L.A. causing Meth Haemoglobinemia
1. Procaine
2. Prilocaine
3. Both
4. None

Correct answer: 2. Prilocaine

Explanation: B i.e. Prilocaine